Beta oxidation of fatty acids occur in
1. Nucleus
2. Mitochondria
3. Cytoplasm
4. Peroxisomes

Correct answer: 2. Mitochondria

Explanation: Tissues in which bbb-Oxidation is carried out: The circulating FA are taken up by various tissues and oxidised. Tissues like liver, heart, kidney, muscle, brain, lungs, testes and adipose tissue have the ability to oxidise long-chain FA. In cardiac muscle, fatty acids are an important fuel of respiration (80% of energy derived from FA oxidation). Enzymes Involved in bbb-Oxidation bbb-oxidation takes place in mitochondrion. Several enzymes known collectively as FA-oxidase system are found in the mitochondrial matrix, adjacent to the respiratory chain, which is found in the inner membrane. These enzymes catalyse the oxidation of FA to acetyl- CoA.Ref: Textbook of Medical Biochemistry, Eighth Edition, Dr (Brig) MN Chatterjea, page no: 407